Gamekeeper's thumb is?
1. Ulnar collateral ligament injury of MCP joint
2. Radial collateral ligament injury of CMC joint
3. Radial collateral ligament injury of MCP joint
4. Ulnar collateral ligament injury of CMC joint

Correct answer: 1. Ulnar collateral ligament injury of MCP joint

Explanation: It is sprain or rupture of ulnar collateral ligament (UCL) of first metacarpophalangeal joint. It is the most common injury of MCP joint. This injury occurs when the thumb is forced into radial deviation stressing the ulnar collateral ligament. The interaction between the thumb and first web space with skie pole grips has been blamed for the associated UCL rupture in this sport. When UCL tears from its phalangeal insertion, the adductor pollicis aponeurosis may become interposed between the retracted ligament, preventing healing of the ligament to the proximal phalanx with closed treatment ( stener's lesion) Ref: Current Diagnosis & Treatment in Orthopedics 3/e, page 565-66; Apley's 8/e, page 635; Rockwood & Green's fracture in Adults 6/e, Page 17.